Milwakulee classification is used for
1. Sphincter of oddi dysfunction
2. Abnormal pancreaticobiliary duct junction
3. Acute pancreatitis
4. Chronic pancreatitis

Correct answer: 1. Sphincter of oddi dysfunction

Explanation: Modified Milwaukee classification is used for Biliary sphincter of oddi classification Types Sphincter of oddi stenosis : Also known as papillitis Benign intrinsic obstruction of the CBD outlet. Sphincter of oddi dyskinesis : It is an intermittent functional Blockage of the high pressure zone of the sphincter. Basal pressure is elevated, but administration of smooth muscles relaxants(nitrates) causes decrease of the basal sphincter pressure in functional dyskinesis Ref: Sabiston 20th edition Pgno :1497